Trichotillomania?
1. Irresistable desire to set fire
2. Irresistable desire to steal things
3. Compulsive hair pulling
4. Pathological gambling

Correct answer: 3. Compulsive hair pulling

Explanation: Ans. is 'c' i.e., Compulsive hair pulling